Which of the following has highest pH:
1. Pancreatic juice
2. Gastric juice
3. Gallbladder bile
4. Saliva

Correct answer: 1. Pancreatic juice

Explanation: Ans. A. Pancreatic juiceBody secretionpH* Pancreatic juice8* Gastric juice1* Saliva7* Hepatic duct bile7.8-8.6* Gallbladder bile7.0-7.4